Area that lies immediately lateral to the anterior perforating substance is
1. Orbital gyrus
2. Uncus
3. Optic chiasma
4. Limen insulae

Correct answer: 4. Limen insulae

Explanation: The limen insulae is the Antero-inferiorly located insular cortical surface which conjoins the inferior insular point, the anterior perforated surface, and the temporo mesial surface.